Which of the following drugs is most useful for acute depression and has good side effect profile?
1. RIMA
2. SSRIs
3. Tricyclic Antidepressants
4. Non selective MAO-inhibitors

Correct answer: 2. SSRIs

Explanation: Most effective drug for acute depression is SSRI i.e. Selective serotonin reuptake inhibitors. They are drug of choice for the same. They have very less side effects as compared to tricyclic antidepressants.